A 20 year old patient presents with syncope. His current ECG is shown below. His elder brother had died suddenly while watching television. The patient was given Cardioversion and subsequent cardiac MRI revealed fibro-fatty changes in RV myocardium. What is the diagnosis of this patient?
1. Hypertrophic obstructive Cardiomyopathy
2. Arythmogenic RV dysplasia
3. Brugada syndrome
4. Tako- Tsubo Cardiomyopathy

Correct answer: 2. Arythmogenic RV dysplasia

Explanation: Arythmogenic RV dysplasia(ARVD) ECG shows HR of 300/min with broad complex tachycardia. Variation in amplitude of QRS complexes which indicates a diagnosis of polymorphic Ventricular Tachycardia. In acute setting DC shock 200 J Biphasic should be given. The Cardiac MRI report showing fibro-fatty changes in RV myocardium explains that the substrate for initiation of Polymorphic VT is originating from RV. This confirms the diagnosis as Arythmogenic RV dysplasia(ARVD) ECG - Presence of Epsilon wave.